Endoscopic sclerotherapy following are complications, except:
1. Hepatic encephalopathy
2. Stricture
3. Perforation
4. Fibrosis

Correct answer: 1. Hepatic encephalopathy

Explanation: Ans. (a) Hepatic encephalopathyRef: Sabiston's Textbook of surgery, 20th edition, Page 1149-50* Endoscopic Banding is superior than sclerotherapy in controlling varices in esophagus.* Endoscopic sclerotherapy is associated with:# Perforation# Stricture and Fibrosis# Mediastinitis